Hanging curtain sign seen in ?
1. Pityriasis rosea
2. Pityriasis Versicolor
3. Psoriasis
4. Pityriasis Alba

Correct answer: 1. Pityriasis rosea

Explanation: ANSWER: (A) Pityriasis roseaREF: Dermatology. 1995: 190(3):252. PubMed PMID: 7599393, Clinical Pediatric Dermatology - By Thappa Page 104Repeat Dermatology June 2010